Both antibody dependent and independent complement pathway converge on which of the following complement component ?
1. C3
2. C5
3. C1q
4. C8

Correct answer: 1. C3

Explanation: . C3